Which of the following is a Ketose?
1. Glucose
2. Erythrose
3. Fructose
4. Ribose

Correct answer: 3. Fructose

Explanation: Monosaccharides are those sugars that cannot be hydrolyzed into simpler carbohydrates. They may be classified as trioses, tetroses, pentoses, hexoses, or heptoses, depending upon the number of carbon atoms (3-7), and as aldoses or ketoses, depending on whether they have an aldehyde or ketone groupClassification of Important SugarsAldosesKetosesTrioses (C3H6O3)Glycerose(glyceraldehyde)DihydroxyacetoneTetroses (C4H8O4)ErythroseErythrulosePentoses (C5H10O5)RiboseRibuloseHexoses (C6H12O6)GlucoseFructoseHeptoses (C7H14O7) -------SedoheptuloseRef: Harpers Biochemistry; 30th edition; Chapter 15; Carbohydrates of Physiological Significance